Nitroglycerine is used in Angina pectoris. The mechanism of action is primarily a
1. Arteriolar dilator
2. Post capillary venodilator
3. Increase oxygen myocardial demand
4. Decrease myocardial work load

Correct answer: 2. Post capillary venodilator

Explanation: (Post capillary venodilator): (540 KDT 7th edition)NITRATES (GTN, Nitroglycerine)* Most prominent action is exerted on vascular smooth muscleNitrates dilate veins more than arteries|Peripheral pooling of blood|Decreased venous return (ie preload on heart is reduced)|End diastolic size and pressure are reduced|Decreased cardiac work* Nitroglycerine are used sublingually because terminates first pass metabolism* *** Nitroglycerine is effective when retained sublingually because it is non-ionic and has very high lipid solubility (22-Goodman)